A 35 year old primigravida presents to your OPD for a regular antenatal checkup in 3rd trimester. She is upset because of spidery veins appearing on her face,upper chest, and arms. What will you do next ?
1. Do LFT's to rule out any liver disease
2. Refer her to a dermatologist
3. Refer her to a vascular surgeon to have the veins removed
4. Reassurance is enough

Correct answer: 4. Reassurance is enough

Explanation: Spider angiomasare collections of tiny dilated blood vessels that usually radiate from a central point and resemble the legs of aspider. The appearance of these blood vessels is a normal occurrence with pregnancy and usually resolve spontaneously after delivery It occurs due to hormonal changes, i.e. hyperestrogenemia which occurs during pregnancy* Reassurance is enough and they don't require any medical intervention.